A 15-year-old female presents with primary amen-orrhea. Her breasts are Tanner 4 but she has no ax-illary or pubic hair. The most likely diagnosis is:
1. Turner's syndrome
2. Mullerian agenesis
3. Testicular feminization syndrome
4. Premature ovarian failure

Correct answer: 3. Testicular feminization syndrome